Ductus dependent blood flow is required for all of these congenital heart diseases except ?
1. Persistent truncus arteriosus
2. Hypoplastic left heart syndrome
3. Pulmonary stenosis
4. TGA with intact ventricular septum

Correct answer: 1. Persistent truncus arteriosus

Explanation: Ans is 'a' i.e., Persistent truncus arteriosus